Which is false about penicillium marneffei -
1. Black colonies
2. Dimorphic fungi
3. Amphotericin B used for treatment
4. Causes fulminant infections in immuno-compromised patients

Correct answer: 1. Black colonies